EBV is associated with which type of cancer?
1. Nasopharyngeal carcinoma
2. Epidermodysplasia
3. Kaposi sarcoma
4. None

Correct answer: 1. Nasopharyngeal carcinoma

Explanation: Epstein-barr virus may lead to the following clinical conditions:* Infectious mononucleosis* Epstein-barr virus associated malignancies: - Burkitt's lymphoma - Lymphomas in immunodeficient person such as those with AIDS and transplant recipients - Nasopharyngeal carcinoma in persons of Chinese origin.